Hypoxemia seen in:
1. Hypoventilation
2. Myasthenia gravis
3. Pulmonary emboli
4. All of the above

Correct answer: 4. All of the above

Explanation: Answer is D (All of the above): The four basic mechanisms of hypoxemia are a decrease in inspired P02 (Decreased Fi02), hypoventilation (as in Myaesthenia gravis), VQ mismatch (as in pulmonary emboli) and shunting.